In Africa, vaccination was given in an endemic outburst area for a specific disease but due to shortage of vaccines, mass chemoprophylaxis treatment was given to people who were not diseased. Which type of prevention is this?
1. Specific protection
2. Health promotion
3. Early diagnosis and treatment
4. Rehabilitation

Correct answer: 1. Specific protection

Explanation: - Chemoprophylaxis for a disease comes under specific protection - Primary prevention- It includes Health promotion & Specific protection. Chemoprophylaxis/ vaccinesfalls under Specific protection Decreased salt intake, stop smoking, installation of sanitary latrinecomes under Health promotion. LEVELS OF PREVENTION: Primordial prevention Prevention of emergence of development of risk factors Done by health education. Primary prevention Action taken prior to the onset of disease Done by health promotion & specific protection. Secondary prevention Action which halts the progress of a disease Done by early diagnosis & treatment Tertiary prevention Action taken during the progression/ end of disease Done by disability limitation & rehabilitation.